Lipoxins synthesized from the arachidonic acid act by-
1. Increase leucocyte migration, adhesion, chemotaxis
2. Vasoconstriction
3. Increased vascular permeability
4. Decreases leucocyte migration, adhesion, chemotaxis

Correct answer: 4. Decreases leucocyte migration, adhesion, chemotaxis

Explanation: Effects of lipoxins (LXA4, LXB4) are

Inhibit neutrophil chemotaxis and leukocyte recruitment (major action).
Vasodilatation
Promote monocytic phagocytosis of apoptotic neutrophils.